Which of the following cannot be done by 3 years old child –
1. Draw a triangle
2. Draw a circle
3. Can arrange 9 cubes
4. Can go up and down

Correct answer: 1. Draw a triangle

Explanation: A child can draw a triangle by 5 years.
A child can draw a circle by 3 years.
A child can make a tower of 9 cubes by 30 months.
A child can go up and downstairs with one step at a time by 2 years.
A child can stand momentarily on one foot by 3 years